Narrowest part of uterine tube is:
1. Infundibulum
2. Ampulla
3. Isthmus
4. Interstitial

Correct answer: 4. Interstitial

Explanation: Ans. D i.e. Interstitial Fallopian tube Lined by: Ciliated columnar epithelium Length: 10 cms